All of the following form visceral relations of spleen except
1. Stomach
2. Splenic flexure of colon
3. Kidney
4. Adrenals

Correct answer: 4. Adrenals

Explanation: The visceral surface is related to the fundus of the stomach,the anterior surface of the left kidney,the splenic flexure of the colon and the tail of the pancreas. The impression produced by these relations are gastric impression, renal impression, pancreatic impression. Ref - BDC 6e vol2 pg297